All except one are avoided in Raynaud's disease
1. Oral contraceptives
2. ACE - inhibitors
3. Beta - blockers
4. Ergot alkaloids

Correct answer: 2. ACE - inhibitors

Explanation: ACE - inhibitors are used in treatment of Raynaud's disease.